Eight months after prosthetic valve replacement, most common organism causing infective endocarditis is:
1. Staph. epidermidis
2. Strep. viridans
3. Staph. aureus
4. HACEK

Correct answer: 1. Staph. epidermidis

Explanation: Ans. (a) Staph. epidermidis Coagulase negative staphylococci is the most common cause of endocarditis in posthetic value recepients with in one year of surgery.